Vertebral artery passes through foramen of transverse processes of which cervical vertebra
1. All cervical vertebrae
2. 2nd to 5th cervical vertebrae
3. All except 1st cervical vertebrae
4. All except 7th cervical vertebrae

Correct answer: 4. All except 7th cervical vertebrae

Explanation: The vertebral artery, branch of subclavian, ascends in the foramina transversaria of upper six cervical vertebrae.On reaching the base of skull, it winds backwards and medially around the lateral mass of atlas and pierces posterior atlanto-occipital membrane to enter the posterior cranial fossa through foramen magnum.The loop of vertebral artery around the lateral mass of atlas may damp down the arterial pulsations within the cranial cavity.(Ref: vishram Singh textbook of clinical neuroanatomy second edition pg 174)